Which of the following statements about erythropoietin is FALSE
1. It is used for the treatment of anemia due to chronic renal failure
2. It results ik decrease in reticulocyte count
3. It decreases the requirement of blood transfusion
4. It can cause hypertension

Correct answer: 2. It results ik decrease in reticulocyte count

Explanation: Refer KDT 6 /e p 592 Erythropoietin is a hematopoeitc growth factor that is normally produced by the kidney Erythropoietin consistently improves the hematocrit and HB levels An increase in reticulocyte count is usually observed in 10 days and increase in hematocrit